All are recommended as part of comprehensive medical care for patients with diabetes, except
1. HbA1c testing, 2-4 times per year
2. Annual nutrition education
3. Blood insulin levels annually
4. Annual lipid profile

Correct answer: 3. Blood insulin levels annually

Explanation: Guidelines for Ongoing, Comprehensive Medical Care for Patients with DiabetesOptimal and individualized glycemic controlSelf-monitoring of blood glucose (individualized frequency)HbA1c testing (2-4 times/year)Patient education in diabetes management (annual); diabetes-self management education and supportMedical nutrition therapy and education (annual)Eye examination (annual or biannual)Foot examination (1-2 times/year by physician; daily by patient)Screening for diabetic nephropathy (annual)Blood pressure measurement (quarterly)Lipid profile and serum creatinine (estimated GFR) (annual)Influenza/pneumococcal/hepatitis B immunizationsConsider antiplatelet therapy Ref: Harrison 19e pg: 2408